School health checkup comes under ………… level of prevention.
1. Primordial
2. Primary
3. Secondary
4. Tertiary

Correct answer: 3. Secondary